Transverse ligament of atlas is part of :
1. Cruciate ligament
2. Ligament flava
3. Anterior longitudinal ligament
4. Posterior longitudinal ligament

Correct answer: 1. Cruciate ligament

Explanation: A i.e. Cruciate ligament - Cruciform or cruciate ligament is a part of transverse atlantal ligamentQ- Accessory ligaments, connecting the axis to the occipital bone (and by passing atlas) consists of - membrana tectoria, median apical ligament, paired alar ligaments, and longitudinal component of cruciform ligatnentQ.- Transverse atlantal ligament The posterior 2/3rd surrounds the spinal cord & meninges. The anterior 1/3rd contains the dens, which it retains in position even when all other ligaments are divided.- The anterior and posterior atlanto- occipital membrane are attached to the upper borders of the respective arches of the atlas and to the outer margins of the foramen magnum. The posterior atlanto occipital membrane is deficient at each lateral extremity to allow passage for the vertebral artery and C1 nerve. The membranes are innervated by C1 nerve.